Lactose on hydrolysis yeilds ?
1. 2 molecules of fructose
2. 2 molecules of glucose
3. One molecule of glocuse and one molecule of fructose
4. One molecule of glocuse and one molecule of galactose

Correct answer: 4. One molecule of glocuse and one molecule of galactose

Explanation: Ans.is 'd' i.e., One molecule of glocuse and one molecule of galactose